Spermatocoeles are most commonly found at
1. The Head of epidydimis
2. Testis
3. Prostate
4. Seminal Vescicles

Correct answer: 1. The Head of epidydimis

Explanation: Answer- A. The Head of epidydimisSpermatoceles typically arise from the caput (head) of the epididymis, which is located on the superior aspect of the testicle.